Primary treatment of middle Ear Cholesteatoma is -
1. Surgery
2. Medical and Surgery
3. Radiotherapy
4. Chemotherapy

Correct answer: 1. Surgery